Increasing the etching concentration
1. Increases the micropores formed
2. Increases the length of the enamel tags
3. Causes precipitation of phosphates
4. increases the bond strength

Correct answer: 3. Causes precipitation of phosphates